True about Light microscopic changes in Minimal Change Glomerulonephritis is -
1. No Abnormality
2. Fusion of foot process
3. Absence of Immunoglobulins
4. Absence of complement

Correct answer: 1. No Abnormality

Explanation: Minimal change nephropathy Minimal change disease occurs at all ages but accounts for most cases of nephrotic syndrome in children and about one-quarter of adult cases. It is caused by reversible dysfunction of podocytes. On light microscopy, the glomeruli appear normal , but fusion of podocyte foot processes is observed on electron microscopy. The presentation is with nephrotic syndrome, which typically is severe; Ref Harrison20th edition pg 278